In response to changes in Ca2+ concentration, which of the following Ca2+ binding protein can modify the activity of many enzymes & proteins?
1. Calmodulin
2. Collagen
3. Kinesin
4. Elastin

Correct answer: 1. Calmodulin

Explanation: Calmodulin is a small (148 amino acids, 17 kDa) ubiquitous protein in eukaryotes. It is considered as the primary intracellular calcium sensor, making it a key regulator of intracellular signal transduction. Ref: Harper's Biochemistry 26th Edition Page 463 ; E. coli Gene Expression Protocols By Peter E. Vaillancou, 2003, Page 69